Which of the following is a feature of first degree AV block?
1. PR interval > 200 ms
2. Inversion of T wave
3. Progressive shoenting of PR interval
4. Presence of U wave

Correct answer: 1. PR interval > 200 ms

Explanation: Answer- A. PR interval > 200 msFirst-degree AV block (PR interval >200 ms) is a slowing of conduction through the AV junction.The site of delay is typically in the AV node but maybe in the atria, bundle of His, or His-Purkinje system.In second degree AV block there is an intermittent failure of electrical impulse conduction from atrium to ventricle.Second-degree AV block is subclassified as Mobitz type I (Wenckebach) or Mobitz type II.